Auspitz sign is related to –
1. Pemphigus
2. Psoriasis
3. Lupus vulgaris
4. Lichen planus

Correct answer: 2. Psoriasis